Pharmacovigilance is done for monitoring -
1. Drug price
2. Unethical practices
3. Drug safety
4. Pharmacology students

Correct answer: 3. Drug safety

Explanation: Ans. is 'c' i.e., Drug safety Pharmaco vigilance is defined as "All methods of assessment and prevention of adverse drug reactions".National Pharmaco vigilance program (India) 2004India's drugs control department within the ministry of health and family welfare initiated the establishment of a nationwide network to build a comprehensive Pharmaco vigilance data system in 2004.The national Pharmaco vigilance Programme for India is sponsored by World Health Organization (WHO) and is funded by the World Bank.The national Pharmaco vigilance Programme is based on the recommendations made in WHO document titled "safety monitoring of medicinal products - Guidelines for setting up and running a Pharmaco vigilance centre".The Programme particularly solicits reports of:-All "adverse events" suspected to have been caused by new drugs and drugs of current interest (list to be published by CDSCO from time to time).All suspected drug interactions.Reactions to any other drugs which are suspected of significantly affecting a patient*s management including reactions suspected of causing:-DeathLife threateningHospitalisation (initial or prolonged)Disability (significant persistent or permanent)Congenital anomalyRequired intervention to prevent permanent impairment or damage